All are the feature (s) of chancorid except:
1. Ulcer bleed easily
2. Painful
3. Bubo formation
4. Typically indurated

Correct answer: 4. Typically indurated

Explanation: Ans: d. Typically indurated, Chancroid or soft sore is characterized by tender non-indurated irregular ulcers on the genitaliaThe infection remains localized, spreading only to the regional lymph nodes which are enlarged & painful"Haemophilus ducreyi: After an incubation period of 4-7 days, the initial lesion--a papule with surrounding erythema--appears.In 2 or 3 days, the papule evolves into a pustule, which spontaneously ruptures and forms a sharply circumscribed ulcer that is generally not indurated. The ulcers are painful and bleed easily; little or no inflammation of the surrounding skin is evident.Approximately half of patients develop enlarged, tender become fluctuant and spontaneously rupture" (Harrison 18th)